According to which section, a person can be punished for attempt to murder with imprisonment for 10 years:
1. Sec. 301 IPC
2. Sec. 300 IPC
3. Sec. 302 IPC
4. Sec. 307 IPC

Correct answer: 4. Sec. 307 IPC

Explanation: Ans. Sec. 307 IPC